Lower lobe fibrosis is seen in :
1. Silicosis
2. Sarcoidosis
3. Cystic Fibrosis
4. Asbestosis

Correct answer: 4. Asbestosis

Explanation: Answer is D (Asbestosis): Lower lobe fibrosis is seen in Asbestosis. Silicosis, Sarcoidosis and Cystic Fibrosis are all associated with Upper Lobe Fibrosis Upper Lobe Fibrosis Fibrotic Disease Old Granulomatous Infection (Tuberculosis; Histoplasmosis; Coccidioidomycosis) Sarcoidosis Silicosis, Berylliosis Coal Worker's Pneumoconiosis Ankylosing Spondylitis Radiation Pneumonitis Chronic Hypersensitivity Pneumonitis Airway Disease Cystic Fibrosis Allergic Bronchopulmonary Aspergillosis (ABPA) Fibrotic Disease Idiopathic Pulmonary Fibrosis Asbestosis Collagen Vascular Disease (SLE; Systemic Sclerosis; RA) Drugs (Busulphan; Bleomycin; Methotrexate etc.) Airway Disease Chronic Aspiration Basal Bronchiectasis